Monoprotic acid are
1. Formic acid
2. Acetic acid
3. Nitric acid
4. All

Correct answer: 4. All

Explanation: A, B, C i.e. Formic acid, Acetic acid, Nitric acid Monoprotic acids (donating 1 proton) are hydrochloric acid (HC1), nitric acid (HNO3), formic acid (HCOOH), acetic acid (CH3COOH) and benzoic acidQ. Biprotic acids are sulfuric acid (H2SO4) and carbonic acid (H2CO3)Q arid triprotic acids are phosphoric acid (H3PO4) and citric acidQ